Another name for electrolytic precipitate of gold is:
1. Mat gold
2. Gold foil
3. Electrophy
4. All of the above

Correct answer: 1. Mat gold

Explanation: Mat Gold
In this form, gold is precipitated mainly through electrodeposition and it is accumulated in the form of strips or cakes.They are then subjected to a sintering process, in which there will be surface diffusion of the atoms of the particles, creating minimal cohesion between the particles.